Which of the following clinical situations is associated with an increase in predominantly conjugated ("direct") bilirubin?
1. Physiologic jaundice of the neonate
2. Kernicterus Following Rhesus Incompatibility
3. Gilbert's Syndrome
4. Pancreatic head tumor

Correct answer: 4. Pancreatic head tumor

Explanation: Of the conditions listed, only pancreatic head tumors are associated with an increase in conjugated ("direct") bilirubin (obstructive jaundice). Increased levels of unconjugated ("direct") bilirubin result from hemolysis over liver defects that impair uptake or conjugation mechanism in liver cells (Gilbert's syndrome, Crigler- Najjar syndrome) positive. Unconjugated bilirubin may cross the immature blood brain Barrier of the newborn and cause Kernicterus. The physiologic jaundice of the newborn observed during the first week of birth is usually mild and due to relatively immature liver conjugation. Ref: Cothren C., Biffl W.L., Moore E.E. (2010). Chapter 7. Trauma. In F.C. Brunicardi, D.K. Andersen, T.R. Billiar, D.L. Dunn, J.G. Hunter, J.B. Matthews, R.E. Pollock (Eds), Schwartz's Principles of Surgery, 9e.